Buerger's disease affects all except -
1. Small arteries
2. Small veins
3. Medium size arteries
4. Multiparity

Correct answer: 4. Multiparity

Explanation: Answer 'd' Multiparity